Wernicke's hemianopic reaction is due to lesions at the level of
1. Optic tract
2. Optic chiasma
3. Optic radiations
4. LGB

Correct answer: 1. Optic tract

Explanation: Lesions of optic tract.
I/L direct and C/L consensual light reflexes are absent.